True about left renal vein -
1. Posterior and inferior to Superior mesenteric artery
2. Posterior and superior to superior mesenteric artery
3. Anterior and inferior to Superior mesenteric artery
4. Anterior and superior to Superior mesenteric artery

Correct answer: 1. Posterior and inferior to Superior mesenteric artery